Which of the following immunoglobulins can cross placenta ?
1. IgA
2. IgM
3. IgG
4. IgD

Correct answer: 3. IgG

Explanation: Ans is 'c' i.e., IgG IgG It is the major serum immunoglobulin (80%). It is distributed equally between the intravascular and extravascular compartments. It contains less carbohydrate than other immunoglobulins. It has maximum half life. It binds to micro-organisms and enhances their phagocytosis. Considered as general purpose antibody, protective against those infectious agents which are active in the blood and tissues. It is the predominant antibody in secondary antibody response. Four subclasses of IgG are there with IgG, is found in greatest amount and IgG4 in least amount. IgG, is directed against polysaccharide antigen so it is important in defence against encapsulated bacteria. IgG is the only maternal immunoglobulin, that is normally transported across the placenta and provides natural passive immunity in the newborn.